Not safe disposal but gelid for soil building -
1. Incineration
2. Controlled tipping
3. Composting
4. None

Correct answer: 3. Composting

Explanation: Ans. is 'c' i.e., Composting Composting C'ompostig is a method of combined disposal of refuse and nightsoil or sluge. o It is process of nature whereby orgaic matter breaks down under bacterial action resulting in the formation of relatively stable humus-like material, called the compost which has considerable manurial value for the soil. o Compost contains no or few disease producing organisms and is a good soil builder containing small amounts of the major plant nutrients such as nitrates and phosphates. o There are following two methods of composting. i) Bangalore method (Anaerobic method) ii)Mechanical composting (Aaerobic method).